The features of neonatal hypothyroidism include all EXCEPT:
1. Triangular facies with craniosyntosis
2. Congestive cardiac failure
3. Delayed osseous maturation
4. Goitre is rare

Correct answer: 1. Triangular facies with craniosyntosis

Explanation: - Craniosynostosis refers to premature fusion of sutures & closure of fontanelle - But in congenital hypothyroidism, there is delayed closure of fontanelle - hence wide open anterior & posterior fontanelle is seen